Patch test is done to document
1. Type I hypersensitivity
2. Delayed type hypersensitivity
3. Autoimmune disease
4. Immunocomplex deposition

Correct answer: 2. Delayed type hypersensitivity

Explanation: Patch test is done to determine delayed (type 4) hypersensitivity for the suspected contact allergen. IADVL textbook of dermatology,page 789